Chain initiation in protein synthesis is by?
1. AUG
2. GLA
3. UGA
4. UAG

Correct answer: 1. AUG

Explanation: A i.e. AUG